A patient presented with scarring alopecia, thinned nails, hypopigmented macular lesions over the trunk and oral mucosa. The diagnosis is
1. Psoriasis
2. Leprosy
3. Lichenplanus
4. Pemphigus

Correct answer: 3. Lichenplanus

Explanation: C i.e. Lichen Planus